Which of the following types of pancreatitis has the best prognosis?
1. Alcoholic pancreatitis
2. Gall stone pancreatitis
3. Post operative pancreatitis
4. Idiopathic pancreatitis

Correct answer: 2. Gall stone pancreatitis

Explanation: Ans: b (Galls stone pancreatitis) Ref: Oxford Textbook of Surgery 2nd ed, p. 1766"The prognosis is best in patients where pancreatitis is caused by a remediable causes like cholelithiasis. Eradication of the gall stone disease prevents futher attacks of pancreatitis."Good prognosis also evidenced by the fact that gall stones are recoverable in the faeces of over 90% of patients within 10 days of an attack, suggesting that the obstruction is brief.